Largest benign ovarian tumor is -
1. Serous cyst adenoma
2. Mucinous cyst adenoma
3. Dermoid cyst
4. Dysgerminoma

Correct answer: 2. Mucinous cyst adenoma

Explanation: Ans. is 'b' i.e., Mucinous cyst adenoma * Serous cyst adenoma accounts for 40% of ovarian tumors, it is bilateral in 40% cases, and it can turn malignant (adenocarcinoma) in 40% cases. It is the MC ovarian tumor.* Mucinous cyst adenoma is the largest benign ovarian tumor